Which of the following will produce the most rigid restoration for framework of same dimension?
1. Wrought alloy
2. Palladium alloys
3. Cobalt-chrome alloys
4. Partial denture casting gold in hardened condition

Correct answer: 3. Cobalt-chrome alloys